A 30 year old lady do sudden onset breathlessness, anxiety, palpitation & feeling of impending doom. Physical examination is normal. What is the diagnosis -
1. Panic attack
2. Anxiety disorder
3. Conversion disorder
4. Acute psychosis

Correct answer: 1. Panic attack

Explanation: Sudden onset of breathlessness, anxiety, palpitation and feeling of impending doom suggest the diagnosis of panic attack (severe anxiety)